Right bronchial vein drains into -
1. Superior intercostal vein
2. Posterior intercostal vein
3. Azygous vein
4. Hemiazygous vein

Correct answer: 3. Azygous vein

Explanation: Ans. is 'c' i.e., Azygous veinVenous Drainage of Lung1. Bronchial veinso Superficial bronchial veins drain pleura and extrapulmonary bronchi. On the right side they drain into the azygous vein and on the left side they drain into the left superior intercostal vein or hemiazygous veino Deep bronchial veins drain rest of the bronchial tree and the lung parenchyma and end in pulmonary veins.2. Pulmonary veins - (4 in number) - Open into the left atrium of the heart.